Feathery appearance in jejunum is due to –
1. Valvulae conniventes
2. Haustrations
3. Luminal gas
4. Vascular network

Correct answer: 1. Valvulae conniventes

Explanation: The nervous and villous coat of the jejunum are extensive and are thrown into folds, called Valvulae conniventes which give feathery appearance in the jejunum.